All are true regarding treatment of Guillain-Barre syndrome, EXCEPT:
1. Corticosteroid are used for early recovery and to prevent complications
2. High-dose intravenous immune globulin can be initiated
3. Plasmapheresis can be indicated
4. High-dose intravenous immune globulin and plasmapheresis are equally effective

Correct answer: 1. Corticosteroid are used for early recovery and to prevent complications

Explanation: In the vast majority of patients with GBS, treatment should be initiated as soon after diagnosis as possible. 2 weeks after the first motor symptoms, immunotherapy is no longer effective. Either high-dose intravenous immune globulin (IVIg) or plasmapheresis can be initiated, as they are equally effective. A combination of the two therapies is not significantly better than either alone. Glucocorticoid administration does not shorten the course or prognosis of GBS.